All except one are deformities associated with Leprosy
1. Claw hand
2. Lag ophthalmos
3. Clutton's joint
4. Foot drop

Correct answer: 3. Clutton's joint

Explanation: Clutton's joints are associated with syphilis.